A 60-year-old woman presents with symptoms of weight loss, anxiety, and palpitations. On examination, she has a thyroid goiter. Which of the following is the most likely cardiac finding?
1. prolonged circulation time
2. decreased cardiac output
3. paroxysmal atrial fibrillation
4. pericardial effusion

Correct answer: 3. paroxysmal atrial fibrillation

Explanation: Thyroid disease may affect the heart muscle directly or there may be excessive sympathetic stimulation. Common symptoms of thyrotoxic heart disease include palpitations, exertional dyspnea, and worsening angina. Atrial fibrillation is particularly common in older individuals.